Complications of stellate ganglion block are all except?
1. Mediastinitis
2. Cardiac arrest
3. Pneumothorax
4. Mueller's syndrome

Correct answer: 4. Mueller's syndrome

Explanation: Mueller's syndrome is a sign of successful stellate ganglion block in which there is warmth of the face and injection of the tympanic membrane. Other signs of successful stellate ganglion block include: Horner's syndrome lacrimation flushing of conjunctiva and sclera increase in skin temperature engorged veins of the arm flushing of cheek, face, neck and arm anhidrosis of the face and neck stuffiness of the nostril Complications of stellate ganglion block include: perforation of oesophagus pneumothorax cardiac arrest mediastinitis intercostal neuralgia ref : willey 9th ed